Dapsone is NOT used in:
1. Alopecia areata
2. Leprosy
3. Dermatitis herpetiformis
4. Malarial prophylaxis

Correct answer: 1. Alopecia areata

Explanation: Ans. A i.e. Alopecia areata Alopecia areata (AA) Non-cicatricial/ non scaring alopecia Exclamation mark sign is characteristic Clinical presentation: Single or multiple circumscribed smooth patchy hair loss, most obviously on scalp but frequently involving any hair bearing skin like beard, eyebrows, eyelashes, with pathognomic "exclamation marks" and "going gray overnight" phenomenon AA is treated by: Minoxidil